Which is a secondary skin lesion ?
1. Plaque
2. Macule
3. Abscess
4. Scales

Correct answer: 4. Scales

Explanation: Ans. is 'd' i.e., Scales Basic skin lesions Primary -4 Macule, papule, plaque, nodule, vesicle, bulla, cyst, abscess, wheals (hives). Secondary -4 Scales, crusts, excoriation, erosion, ulcer, atrophy, lichenification. B. Special lesions --> Burrow, comedones, milia, telangiectasia.